Stippling is seen on
1. Marginal gingiva
2. Attached gingiva
3. Interdental gingiva
4. None of the above

Correct answer: 2. Attached gingiva